Global initiative to promote phasing out the use of lead in paints was launched by the WHO in:
1. 2006
2. 2008
3. 2009
4. 2011

Correct answer: 3. 2009

Explanation: The Second Session of the International Conference on Chemicals Management, held in Geneva in May 2009, endorsed a global initiative to promote phasing out the use of lead in paints (UNEP, 2009a). This proposal for an initiative was jointly put forward by Toxics Link, the Intergovernmental Forum on Chemical Safety and the United States Environment Protection Agency (EPA) to remove lead from paint. Ref :